Which of the following are Nada's major criteria for clinical diagnosis of congenital heart disease?
1. Systolic murmur grade I or II
2. Diastolic murmur
3. Abnormal blood pressure
4. Abnormal electrocardiogram

Correct answer: 2. Diastolic murmur

Explanation: Nadas' Criteria The assessment for presence of heart disease can be done using the Nadas' criteria. Presence of one major or two minor criteria is essential for indicating the presence of heart disease. Nadas' criteria for clinical diagnosis of congenital heart disease Major Minor Systolic murmur grade III or more Systolic murmur grade I or II Diastolic murmur Abnormal second sound Cyanosis Abnormal electrocardiogram Congestive cardiac failure Abnormal X-ray Abnormal blood pressure Reference: Essential Paediatrics; O.P. Ghai; Page no: 406